Medial meniscus of knee joint is injured more often than the lateral meniscus because the medial meniscus is relatively
1. More mobile
2. Less mobile
3. Thinner
4. Attached lightly to femur

Correct answer: 2. Less mobile

Explanation: B i.e. Less mobile Medial meniscus is more frequently torn than the lateral because the medial meniscus is securely attached around the entire peripheryQ of the joint capsule, which makes it less mobileQ. - where as the lateral meniscus is more mobile and has no weak point between a movable and relatively fixed point. popliteus muscle sends few fibers into the posterior margin of lateral meniscus. Thus muscle contraction withdraws & protects the lateral meniscus by drawing it posterolaterally during flexion of the knee and medial rotation of the tibia.